Right hea border on CXR is formed by all except?
1. SVC
2. Right atrium
3. IVC
4. Right ventricle

Correct answer: 4. Right ventricle

Explanation: Borders of the hea : Right hea border: Superior Vena Cava Rt atrium Inferior vena cava Left Hea Border: Aoic knuckle Pulmonary conus Left auricle Left ventricle